The part of the broad ligament giving attachment and support to the uterine tube is the:
1. Mesometrium
2. Mesovarium
3. Mesosalpinx
4. Round ligament

Correct answer: 3. Mesosalpinx

Explanation: The mesosalpinx is the part of broad ligament that supports the uterine tube. The mesosalpinx extends inferiorly to meet the root of the mesovarium; it attaches the uterine tube to the mesometrium. The mesometrium is the part of the broad ligament below the junction of the mesosalpinx and the mesovarium; it attaches the body of the uterus to the pelvic wall. The mesovarium is the part of broad ligament that forms a shelf-like fold supporting the ovary. It attaches the ovary to the mesometrium and mesosalpinx. The round ligament of the uterus is a connective tissue band that attaches the uterus to the inner aspect of the labium majus. It is found in the broad ligament, and it traverses the inguinal canal. Ref: Hoffman B.L., Schorge J.O., Schaffer J.I., Halvorson L.M., Bradshaw K.D., Cunningham F.G., Calver L.E. (2012). Chapter 38. Anatomy. In B.L. Hoffman, J.O. Schorge, J.I. Schaffer, L.M. Halvorson, K.D. Bradshaw, F.G. Cunningham, L.E. Calver (Eds), Williams Gynecology, 2e.